Most common type of oesophageal cancer is:
1. Squamous cell carcinoma
2. Adenocarcinoma
3. Adenoid cystic carcinoma
4. Mucoepidermoid carcinoma

Correct answer: 1. Squamous cell carcinoma

Explanation: Approximately 90% of oesophageal cancers are squamous cell type and the remaining adenocarcinomas, adenoid cystic carcinoma, lymphomas and others.Risk factors for oesophageal cancer are:(i) . Alcohol and tobacco abuse(ii) . Achalasia cardia(iii) . Plummer-Vinson syndrome(iv) . Tylosis (palmar and plantar keratoderma)(v) . Chronic stricture(vi) . Barrett's oesophagus.